Mechanism of hypokalemia in Gitelman syndrome is:
1. Mineralocorticoid excess
2. Apparent mineralocorticoid excess
3. Distal delivery of non reabsorbed anions
4. Magnesium deficiency

Correct answer: 1. Mineralocorticoid excess

Explanation: Hypokalemia is a feature of Gitelman's syndrome Mechanism: Mineralocorticoid excess Similar mechanism seen with Primary and secondary hyperaldosteronism Malignant hypertension Renin secreting tumors Renal artery stenosis Hypovolemia Bartter's syndrome Apparent mineralocorticoid excess leads to hypokalemia in Liddle's syndrome 11 beta dehydrogenase-2 deficiency Ref: Harrison, Edition-18, page-352.